Hunter- Schreger bands not present in:
1. Middle third of enamel.
2. Inner third of enamel.
3. Outer third of enamel.
4. Present all over in enamel.

Correct answer: 3. Outer third of enamel.